Spleen projects into which of the following space of peritoneal cavity?
1. Paracolic gutter
2. Infracolic compartment
3. Left subhepatic space
4. Greater Sac

Correct answer: 4. Greater Sac

Explanation: "Being developed in the dorsal mesogastrium, the spleen projects into the greater sac surrounded by peritoneum of the original leaf of the dorsal mesogastrium."- Ref: Last's Anatomy. Spleen starts to develop in the 4 the week of gestation as a mesenchymal condensation in the dorsal mesogastrium of the lesser sac. In the following weeks these early mesenchymal cells differentiate to a vascular lymphatic pedicle that eventually forms the spleen. When the embryo is 10cm long dorsal mesogastrium can be divided into anterior and posterior part. Posterior part forms the splenorenal ligament. It contains splenic artery and vein. Anterior part of dorsal mesogastrium develops into gastrosplenic ligament and contains short gastric vessels.